Which of the following extrinsic muscle closes the oropharyngeal isthmus:
1. Genioglossus
2. Hyoglossus
3. Palatoglossus
4. Styloglossus

Correct answer: 3. Palatoglossus